Pancreas produce:
1. Pepsinogen
2. Chymotrypsinogen
3. Hydrochloric acid
4. All of the above

Correct answer: 2. Chymotrypsinogen

Explanation: Enzymes in pancreatic juice are trypsin, chymotrypsin, pancreatic lipase and amylase.
Stomach produces gastric juice, which contains pepsinogen, rennin, gastric lipase, HCl, intrinsic factor and other inorganic substances.